All are true statement about malignant melanoma except -
1. Clark's classification used for prognosis
2. Women have better prognosis
3. Acral lentigenous have better prognosis
4. Limb perfusion is used for local treatment

Correct answer: 3. Acral lentigenous have better prognosis